Which anti-glaucoma drug causes black deposits in conjunctiva?
1. Alpha blocker
2. PG analogue
3. Adrenaline
4. CA inhibitor

Correct answer: 3. Adrenaline

Explanation: Adrenochrome deposits occur due to alpha agonists on conjunctiva. PG analogues cause hyperpigmentation. Adrenaline/Epinephrine causes black deposits in conjunctiva.